All of the following assays are used for estimation of total serum protein, except
1. Biuret
2. Bradford
3. Lowry's
4. Bromocresol green

Correct answer: 4. Bromocresol green

Explanation: D i.e. Bromocresol green Bromocresol purple (BCP) and bromcresol green (BCG) dye binding assay (ie Albscr & AlbBcc) is a method for estimation of total serum albumin (not total protein).